Incubation period of pertussis is -
1. 7 days
2. 7-14 days
3. 14-28 days
4. 28 days

Correct answer: 2. 7-14 days

Explanation: Ans. is 'b' i.e., 7-14 days Pertussis After an incubation period of about 1-2 weeks, the disease takes a protracted course comprising three stages, - the catarrhal, paroxysmal and Convalescent - each lasting approximately two weeks. Remember o Catarrhal stage is the stage of maximum infectivity. o Maximum complications occur in Paroxysmal stage.